Tom Smith arthritis involves -
1. Knee
2. Hip
3. Ankle
4. Wrist

Correct answer: 2. Hip

Explanation: Tom - Smith arthritis of septic arthritis of infancy is the septic arthritis of hip joint.at this age head of femur is cartilaginous and is rapidly and conpletely destroyed by pyogenic process.Onset is acute with rapid abcess formation,which may burst out or be incised and heals rapidly. On examination its found that child walks with unstable gait.The affected leg is short and hip movement is increased in all directions . XRAY OF HIP SHOWING TOM SMITH ARTHRITIS REF:Essential Orthopaedics.Maheswari &Mhaskar.Edition 5.Pg no:178